Which level of prevention is applicable in a population without any risk factor-
1. Primordial prevention
2. Primary prevention
3. Secondary prevention
4. Tertiary prevention

Correct answer: 1. Primordial prevention

Explanation: It is the prevention of the emergence or development of risk factors in countries or population groups in which they have not yet appeared.